Earliest histological change in MI-
1. Macrophage infiltration
2. Neutrophilic Infiltration
3. Waviness of fibers
4. Coagulative necrosis

Correct answer: 3. Waviness of fibers

Explanation: The microscopic appearance also undergoes a characteristic sequence of changes Typical features of coagulative necrosis become detectable within 4 to 12 hours of infarction. "Wavy fibers" also can be present at the edges of an infarct; these reflect the stretching and buckling of noncontractile dead fibers. Sublethal ischemia can also induce intracellular myocyte vacuolization; such myocytes are viable but frequently are poorly contractile. (Robbins Basic Pathology,9th edition,pg no.383)